Streptococcal pneumoniae pneumonia present at -
1. < 5 years
2. 5 -15 years
3. 20 - 25 years
4. 30 - 40 years

Correct answer: 1. < 5 years

Explanation: Ans. is 'a' i.e., < 5 years o Streptococcus pneumoniae is the leading cause of pneumonia, both lobar and bronchopneumoniao Pneumonia is common at the extereme of ages :Children (especially < 5 years of age)Elderly (> 60-65years)o Serotypes 6,14,18,19 and 23 are responsible for most cases of pneumonia in children, while serotypes 1,3,4,7,8 and 12 cause pneumonia in adults.